Dr. Shweta decided to add a progestin for 10–12 days each month to estrogen replacement therapy in menopausal women in the gynaecology OPD. Addition of progestin is recommended because the progestin:
1. Blocks the increased risk of myocardial infarction due to estrogen
2. Blocks the increased risk of endometrial carcinoma due to estrogen
3. Reverses vulval atrophy occurring pausal women
4. Enhances the metabolic benefits of estrogen treatment

Correct answer: 2. Blocks the increased risk of endometrial carcinoma due to estrogen